Ichthyosis may be associated with:
1. Carcinoma lung
2. Carcinoma breast
3. Leukemia
4. Lymphoma

Correct answer: 4. Lymphoma

Explanation: Ans. D i.e. Lymphoma